Which of the following is used for culturing M.Tuberculosis?
1. L.J medium
2. Sabouraud's medium
3. Pick's medium
4. NIH medium

Correct answer: 1. L.J medium

Explanation: The media used to culture M.Tb are L.J medium, Dorset egg media, Loeffler's serum slope and Dubo's media.